Efferent neuron for skeletal muscle is
1. Alfa motor neuron
2. Gamma motor neuron
3. Ia fibre
4. Ib fibre

Correct answer: 1. Alfa motor neuron

Explanation: Efferent neurone for skeletal muscle is alpha motor neurone Ref: guyton and hall textbook of medical physiology 12 edition page number:761,762,763